Leptospirosis is transmitted by -
1. Rat
2. Cat
3. Dog
4. Fish

Correct answer: 1. Rat

Explanation: Ans. is 'a' i.e.. Rat Transmission of leptospireso Leptospirosis has been associated writh three lR's.1. Rats-# Rodents, especially rats, are the most important reservoir.2. Rice fields-# Farm workers represent the group at highest risk - Green wrood 1 b'Ve 356 # Certain occupational groups such as agricultural workers in rice or cane fields, miners and sewer cleaners are more often exposed to infection. - Ananthanarayan 7th/e 3923. Rain-Heavy rains are likely to have increased level of leptospiral contamination in the water, thus increase the chances of transmission as human are infected by contaminated water.o Leptospirosis is the most widespread zoonoses.o Transmission of leptospires may follow' direct contact with urine, blood or tissue from an infected animal.o When people come into contact with water which is contaminated by infected urine of animal carriers, the leptospires enter the body through abraded skin or intact mucous membranes, especially the conjuctiva and the lining of the oro and nasopharynx.o Drinking of contaminated water may introduce leptospires through the mouth, throat, or esophagus.o High risk groups are -# Farmworker# Workers in fishing industries# Veterinarians# Sewage worker# Slaughterhouse employees# Coal - miner